The hyaline membrane in the lung is seen in -
1. Respiratory distress syndrome
2. Pulmonary edema
3. Pneumococcal Pneumonia
4. Acute viral hepatitis

Correct answer: 1. Respiratory distress syndrome

Explanation: Respiratory distress syndrome